Claviceps fusiformis is responsible for -
1. Neurolathyrism
2. Ergotism
3. Epidemic dropsy
4. Endemic ascites

Correct answer: 2. Ergotism

Explanation: Ergot:- Ergot is not a storage fungus Foodgrains such as bajra, rye, sorghum and wheat have a tendency to get infested during flowering stages by ergot fungus ( Claviceps purpurea, Claviceps fusiformis). Fungus grows as a blackish mass and the seeds become black and irregular and are harvested along with foodgrains. Consumption of ergot infected food leads to ergotism. Symptoms- nausea, repeated vomiting, giddiness, drowsiness extending up to 24-48 hrs after ingestion of ergoty grain. In chronic cases painful cramps in limbs and peripheral gangrene due to vasoconstriction of capillaries. Ergot infested grains can be easily removed by floating them in 20% salt water.Also removed by hand picking or air floatation. Upper safe limit- 0.05 mg per 100 grams of food material. {Reference: Park's textbook of community medicine, 23 rd edition, pg no. 657}